The normal daily excretion of uric acid ranges from
1. 10 to 30 mg
2. 50 to 70 mg
3. 100 to 300 mg
4. 500 to 700 mg

Correct answer: 4. 500 to 700 mg

Explanation: Uric acid the end product of purine metabolism or oxidation in the body. It is present in blood in a concentration of about 5 mg/100 ml and is excreted in the urine in amounts of a little less than 1 g per day.Ref: Ganong's review of medical physiology; 24th edition; page no; 13